Not a feature of de Quervain's disease :
1. Autoimmune in etiology
2. ↑ESR
3. Tends to regress spontaneously
4. Painful & associated with enlargements of thyroid

Correct answer: 1. Autoimmune in etiology